Erythema chronicum migrans as seen in the illustration is caused by:
1. Borrelia japonica
2. Borrelia burgdorferi
3. Borrelia andersoni
4. Borrelia recurrentis

Correct answer: 2. Borrelia burgdorferi

Explanation: Ans. B. Borrelia burgdorferiERYTHEMA CHRONICUM MIGRANSa. Erythema chronicum migrans is a rash often seen in the early stages of Lyme disease.b. It is caused by the spirochete Borrelia burgdorferi.c. Lyme disease is a zoonosis which is spread to humans by tick bited. The rash appears a few days after the tick bite